Recurrent herpes occurs due to:
1. Virus in oral mucosa
2. Latent virus in skin supplying the area
3. Latent virus in nerve ganglia
4. None of the above

Correct answer: 3. Latent virus in nerve ganglia